Most common primary bronchogenic carcinoma is
1. Small cell carcinoma
2. Squamous cell carcinoma
3. Mixed cell carcinoma
4. Adenocarcinoma

Correct answer: 4. Adenocarcinoma

Explanation: Histological type . Frequency Adenocarcinoma . 32% Squamous cell carcinoma . 29% Small cell carcinoma . 18% Large cell carcinoma. 9% Carcinoid. 1% Ref Harrison 19th edition pg 2584